Poor prognostic factor for melanoma is:
1. Size of tumour
2. Spread to lymphatics
3. Shape
4. Colour of tumour

Correct answer: 2. Spread to lymphatics

Explanation: Ans. B i.e. Spread to lymphatics